The nitrates which can undergo the ﬁrst-pass metabolism:
1. Nitroglycerine
2. Pentaerythritol tetranitrate
3. Isosorbide dinitrate
4. All of the above

Correct answer: 4. All of the above

Explanation: Organic nitrates are lipid-soluble: well absorbed from buccal mucosa, intestines and skin. Ingested orally, all except isosorbide mononitrate undergo extensive and variable first pass metabolism in liver.They are rapidly denitrated by a glutathione reductase and a mitochondrial aldehyde dehydrogcnase.
 
Reference: Essentials of Medical Pharmacology Eighth Edition KD TRIPATHI page no 587